Drug of choice for attention deficit disorder with hyperactivity is:
1. Chlorpromazine
2. Clonidine
3. Imipramine
4. Methylphenidate

Correct answer: 4. Methylphenidate

Explanation: Ans. D: Methylphenidate Attention-Deficit Hyperactivity Disorder/ ADHD/ AD/ HD is a neurobehavioral developmental disorder. It is primarily characterized by "the co-existence of attentional problems and hyperactivity, with each behavior occurring infrequently alone" and symptoms starting before seven years of age. ADHD is the most commonly studied and diagnosed psychiatric disorder in children, affecting about 3% to 5% of children globally. Stimulant medication are the most commonly prescribed medications for ADHD. The most common stimulant medications are the chain subsitituted amphetamine methylphenidate (currently, the drug of choice), dextroamphetamine and dexamohetamine. Atomoxetine, a norepinephrine reuptake inhibitor, may be an alternative for children who do not respond to stimulants.